Merciful anosmia is seen in:
1. Atrophic rhinitis
2. Allergic rhinitis
3. Ethmoidal polyposis
4. Wegener's granulomatosis

Correct answer: 1. Atrophic rhinitis

Explanation: In atrophic rhinitis, there is foul smell from the nose, making the patient a social outcast though the patient himself is unaware of the smell due to marked anosmia which accompanies the degenerative changes. This is called as merciful anosmia.